Cranial nerves at risk during removal of the submandibular salivary gland
1. Mandibular branch of the facial nerve
2. Lingual nerve
3. Hypoglossal nerve
4. All of the above

Correct answer: 4. All of the above